The most common cardiovascular lesion in Down's syndrome is:
1. VSD
2. Endocardial cushion defect
3. TOF
4. COA

Correct answer: 2. Endocardial cushion defect

Explanation: The most common cardiovascular lesion in Down's syndrome is endocardial cushion defect. Other associated defects are atrial septum defects(ASD), ventricular septum defect(VSD), and patent ductus arteriosus(PDA), aberrant subclavian artery, and pulmonary hypertension. Clinical Features: Intellectual disability/Incurved or short fifth finger with clinodactyly Congenital heart disease Acute megakaryoblastic leukemia/Alzheimer's disease/Atlantoaxial instability/Atresia of the duodenum Protruding tongue Round face Occiput flat/Open wide fontanelle/Open mouth Brachycephalic/Brushfiel's spots Low (depressed) nasal bridge Epicanthal fold/Ears low set and dysplastic Mongoloid slant (Oblique palpebral fissure) Simian palmar crease and wider gap between first and second toes. Ref: Nelson textbook of pediatrics 21st edition Pgno: 660